Which of the following is not a Schneider's first rank symptom of schizophrenia?
1. Passivity phenomenon
2. Auditory hallucinations
3. Delusion of self-reference
4. Delusional perception

Correct answer: 3. Delusion of self-reference

Explanation: Kurt Schneider criteria for schizophrenia: First rank symptoms:Audible thoughtsVoices arguing or discussing or bothVoices commentingSomatic passivity experiencesThought withdrawal and other experiences of influenced thoughtThought broadcastingDelusional perceptionsAll other experiences involving volition made affects and made impulsesSecond rank symptoms:Other disorders of perceptionSudden delusional ideasPerplexityDepressive and euphoric mood changesFeelings of emotional impoverishmentRef: Samuels M.A. (2009). Chapter 58. The Schizophrenias and Paranoid States. In M.A. Samuels (Ed), Adams and Victor's Principles of Neurology, 9e.